Brown tumor of bone is seen in -
1. Hyperparathyroidism
2. Hypoparathyroidism
3. Hypo-thyroidism
4. Hyperthyroidism

Correct answer: 1. Hyperparathyroidism

Explanation: Ans. (a) Hyperparathyroidism(Ref: R 9th/pg 1102)Skeletal Abnormalities in Hyperparathyroidism:*Osteoporosis- cortical bone more severely involved than medullary bone*Brown tumors: brown colour- due to increased vascularity, hemorrhage & hemosiderin deposition*Osteitisfibrosacystica (von Recklinghausen disease of bone)